The following condition is not associated with an Antiphospholipid syndrome -
1. Venous thrombosis
2. Recurrent foetal loss
3. Thrombocytosis
4. Neurological manifestations

Correct answer: 3. Thrombocytosis

Explanation: Antiphospholipid syndrome 

Antiphospholipid syndrome develops in patients expressing antibodies to anionic phospholip. i.e., antiphospholipid antibody or lupus anticoagulant.
Remember always, These antibodies are not only against phospholipid as it was believed, of these are antibodies against epitopes of plasma proteins are complexed with phospholipid.
Note: Epitope is the portion of an antigen that actually binds with antibody.
A variety of protein have been implicated β2-glycoprotein particularly imported, i.e., the antiphospholipid antibody is directed against the phospholipid - β2-glycoprotein complex.
Other proteins are prothrombin, protein S, protein C, annexin V.

There are two categories of antiphospholipid syndrome.
1. Secondary antiphospholipid syndrome

When antiphospholipid syndrome is associated with SLE and other autoimmune disease like sjogren syndrome, RA, Bechet syndrome, systemic sclerosis etc.

2. Primary antiphospholipid syndrome

When antiphopholipid syndrome develops without associated SLE.

Clinical manifestations of antiphospholid syndrome
In antiphospholipid syndrome, there is hypercoagulability which results in recurrent venous and arterial thrombosis. This can affect virually any organ system, including the following -


Peripheral venous system → DVT
CNS →  Cerebrovascular accident, sinus thrombosis migraine, epilepsy.  
Haematological → Thrombocytopenia, hemolytic anemia.
Obstetrics → Abortion in 2nd & 3rd trimester (late fetal loss) is common but it may occur any time in pregnancy; recurrent abortion, eclampsia.
Pulmonary → Pulmonary embolism, pulmonary hypertension.   
Cardiac →  Limbman - Sack endocarditis, MI.
Dermatological →  Livedo reticularis, purpura, infarct/ulceration.
Ocular →  Amaurosis, retinal thrombosis.
Adrenal →  Infarction, hemorrhage.
Musculoskeletal →  Avascular necrosis of bone.
Catastrophic antiphospholipid syndrome → Multiorgan infarction